Which of the following malignancy is associated with underlying progression and spreads characteristically in a stepwise fashion and hence staging the diseaseis an important prognostic factor?
1. Hodgkin's lymphoma
2. Multiple myeloma
3. Mature T cell NHL
4. Mature B cell NHL

Correct answer: 1. Hodgkin's lymphoma

Explanation: Ans. is `a' i.e., Hodgkin's lymphomao Hodgkin's lymphoma encampasses a distinctive group of neoplasms that arise almost invariably in a single lymph node or chain of lymph nodes and spread characteristically in a stepwise fashion to the anatomically contiguous nodes.o Therefore staging of Hodgkin's lymphoma not only determines prognosis, but also guides therapy.o With correct treatment protocols, tumor stage rather than histologic type is the most important prognostic variable. o Staging of Hodgkin's lymphoma :Stage I --> Involvement of single lymph node or single extralymphoid siteStage II Involvement of 2 or more lymph node on the same side of diaphragmStage III Involvement of both sides of diaphragm which may also be accompanied by localized involvement of single extralymphoid site or spleenStage IV --> Diffuse or disseminated involvement of one or more extra lymphoid organs or tissue with or without associated lymph node involvemento Each of these stages is divided into A & B category .A category Without symptomsB category With symptoms such as unexplained weight loss, unexplained fever & night sweats